Normal volume of adult testis
1. 5-10 ml
2. 10-15 ml
3. 15-20 ml
4. 25-30 ml

Correct answer: 3. 15-20 ml

Explanation: Ans. is 'c' i.e., 15-20 ml"Normal adult testicular volume is 15-20 ml, calculated by the formula : length x width x depth x 0.52 = volume" -- Grainger.